Pellagra is caused by the deficiency of
1. Niacin
2. folic acid
3. glycin
4. ascorbic acid

Correct answer: 1. Niacin